what is the communication between The cervical canal and cavity of body of uterus ?
1. internal os
2. external os
3. Right lateral os
4. left lateral os

Correct answer: 1. internal os

Explanation: The cervical canal, i.e. the cavity of the cervix is fusiform in shape. It communicates above with the cavity of the body of the uterus, through the internal os, and below with the vaginal cavity through the external os. Ref : B D Chaurasia's Human Anatomy , Seventh edition , volume 2 , pg. no., 421.